Lambda - Panda sign is typically seen in
1. Sarcoidosis
2. Tuberculosis
3. Histoplasmosis
4. Leishmaniasis

Correct answer: 1. Sarcoidosis

Explanation: Ans. is 'a' i.e., Sarcoidosis Lambda sign and Panda sign on Gallium scan are typically described for sarcoidosis. Active pulmonary and/or mediastinal sarcoidosis is gallium avid and a positive gallium scan can support the diagnosis of sarcoidosis. Typical patterns of uptake have been described as 'panda' and 'lambda' signs. Lambda sign - Formed from increased uptake in bilateral hilar and right paratracheal nodes Panda sign - Formed from increased uptake in the parotids and lacrimal glands A Lambda sign in combination with a so-called Panda sign (Lambda-Panda Sign) is a highly specific pattern for sarcoidosis. The degree of uptake typically depends on the activity of disease and gallium scan is positive only in the setting of active parenchymal disease and negative in remission